Not a feature of dementia
1. Forgetfulness
2. Loss of neurons in brain
3. Loss of sensorium
4. Wearing dirty clothes

Correct answer: 3. Loss of sensorium

Explanation: Dementia refers to a disease process marked by progressive cognitive impairment in clear consciousness. Reference: Kaplan & Sadock's synopsis of psychiatry, 11th edition, page 704.